Among the following which has the highest quantity of retinol per 100g of fruit?
1. Papaya
2. Orange
3. Ripe mango
4. Tomato

Correct answer: 3. Ripe mango

Explanation: Papaya contain 118mcg,orange contain 25mcg,tomato contain 84mcg,mangi contain 313mcg of retinol per 100g